A patient presented with blunt trauma to the abdomen to the emergency department. His pulse rate is 150/ min and his BP is 80/50 mm Hg. Scheduled to undergo an emergency laparotomy. Which of the following is the anesthetic of choice
1. Thiopentone
2. M i dazo lam
3. Ketamine
4. Propofol

Correct answer: 3. Ketamine

Explanation: Ans. c. Ketamine